Tensile strength of tendon depends on
1. Fibrillin
2. Collagen
3. Fibronectin
4. Elastin

Correct answer: 2. Collagen

Explanation: Collagen - provide tensile strength Elastin - provide recoil to the tension